All of the following statements about bronchial circulation are true, Except
1. Contribute 2% of systemic circulation
2. Contribute to gaseous exchange
3. Cause venous admixing of blood
4. Provide nutritive function of lung

Correct answer: 2. Contribute to gaseous exchange

Explanation: Ans. (b) Contribute to gaseous exchange(Ref: Ganong, 25th ed/p.637)Bronchial circulation supplies oxygenated blood to the lungs through bronchial arteriesBronchial circulation constitutes about 2% of the cardiac outputBronchial arteries supply lung till the level of terminal bronchiolesBronchial circulation doesn't contribute to gaseous exchange